Drug of choice for fasciola hepatica:
1. Praziquantel
2. Triclabendazole
3. Ivermectin
4. Albendazole

Correct answer: 2. Triclabendazole

Explanation: Ref Katzung, 14th ed. pg. 939* Drug of choice for all trematodes including blood flukes like schistosoma japonicum, mansoni &Hematobium and lung flukes paragonimus westermani is Praziquantel EXCEPT Liver fluke.* DOC for Liver fluke (fasciola Heaptica) - Triclabendazole/Bithionol